Simple life cycle requires -
1. One host
2. Two host
3. Three host
4. Four host

Correct answer: 1. One host

Explanation: Human parasite may complete their life cycle in a single host or more than one host.Some parasites require two or three host to complete their life cycle (refer pgno:6 baveja 3 rd edition)